If full coronal restoration of mandibular incisors is necessary, it requires the use of a:
1. Maxillary central crown form
2. Maxillary lateral crown form
3. Maxillary canine crown form
4. Mandibular lateral crown form

Correct answer: 2. Maxillary lateral crown form

Explanation: No crown forms are available that are made speciﬁcally for mandibular incisors.
If full coronal restoration of mandibular incisors is necessary, it requires the use of a maxillary lateral crown form.